Pleomorphic adenoma usually arises from-
1. Parotid gland
2. Sub mandibular gland
3. Minor salivary gland
4. Superficial lobe

Correct answer: 1. Parotid gland